Contractile Dysfunction is the dominant feature of which of the following types of cardiomyopathies
1. Dilated cardiomyopathy
2. Restrictive cardiomyopathy
3. Hypertrophic cardiomyopathy
4. Infiltrative cardiomyopathy

Correct answer: 1. Dilated cardiomyopathy

Explanation: Ref Harrison 19 th ed pg 1556 An enlarged left ventricle with decreased systolic function as mea- sured by left ventricular ejection fraction characterizes dilated car- diomyopathy ). Systolic failure is more marked than diastolic dysfunction. Although the syndrome of dilated cardiomyopathy has multiple etiologies, there appear to be common pathways of secondary response and disease progression.